Which among the following has great flexibility:
1. Cast circumferential clasp arm
2. Wrought circumferential clasp arm
3. Cast bar clasp arm
4. Wrought bar clasp arm

Correct answer: 2. Wrought circumferential clasp arm